Cigarette paper scars in skin is classically seen in:
1. Osteogenesis imperfecta
2. Ehler danlos syndrome
3. Chondrodysplasia
4. Alport syndrome

Correct answer: 2. Ehler danlos syndrome

Explanation: Skin in Ehler danlos syndrome is either dramatically hyperextensible ("rubber person" syndrome) or easily torn or scarred. Patients with classical EDS develop characteristic cigarette-paper scars. Reference: Harrisons Principles of Internal Medicine, 18th Edition, Page 3209